Amoebiasis is transmitted by all except -
1. Cockroach
2. Faeco-oral
3. Vertical transmission
4. Oro-rectal

Correct answer: 3. Vertical transmission

Explanation: Mode of Transmission Amoebiasis :- Feco-oral transmission (MC) Sexual transmission (homosexual) Vector (Rare) - Flies and cockroaches (mechanical transmission) No transmission by vertical route.